Buprenorphine is ?
1. Partial agonist at mu Receptor
2. Partial agonist at K Receptor
3. Full Agonist at n Receptor
4. Full Agonist at K receptor

Correct answer: 1. Partial agonist at mu Receptor